Shortest length of middle ear:
1. 2 mm
2. 4 mm
3. 6 mm
4. 1 cm

Correct answer: 1. 2 mm

Explanation: Ans. (a) 2 mmRef: Dhingra's ENT 6th ed./ 9-10* Length of middle ear canal:# Epitympanum- 6mm# Mesotympanum- 2mm# Hypotympanum- 4mm* Shortest distance between tympanic membrane to promontory: 2mm.